A 4 month old female child presents with grade IV Vesicoureteral Reflux (VUR); without dilation of urinary bladder. The Treatment of choice is –
1. Septran + Follow up
2. Re – implantation of ureter
3. Injection of collagen at ureteric orifices
4. Bilateral Ureterostomy

Correct answer: 1. Septran + Follow up

Explanation: Treatment of grade IV VIJR

Age 0-5 years


Give antibiotic prophylaxis first
Follow up the patient, if recurrences occur, surgical management should be done.


Age 6-10 years


Unilateral      -3 Same as above
Bilateral     --> Surgery